not true about bacterial vaginosis:
1. pH < 4.5
2. Clue cells present
3. With KOH gives amine smell
4. white,milky discharge

Correct answer: 1. pH < 4.5

Explanation: white milky,non viscous discharge adherent to vaginal wall
ph >4.5
fishy odour when mixed with 10% KOH
Clue cells present